All are actions of insulin except :
1. Gluconeogenesis
2. Glycolysis
3. Glycogenesis
4. Lipogenesis

Correct answer: 1. Gluconeogenesis

Explanation: A i.e. Gluconeogenesis